A 65 year male has a history of sweating and chest pain for last 24 hours with the following ECG. Which of the following is not given in managing the patient?
1. Aspirin
2. Statin
3. Thrombolytic therapy
4. Morphine

Correct answer: 3. Thrombolytic therapy

Explanation: T waves are hyper-acute in leads V2-V5 with the simultaneous presence of ST segment elevation in chest leads V2-V5. This is diagnostic of STEMI involving anterior wall and the vessel blocked is left anterior descending artery. The symptoms of chest pain and diaphoresis are explained by the ECG findings of the pain. Ideal treatment of STEMI is PCI or thrombolysis Since PCI is not among the given choices we need to consider thrombolysis but is indicated only within 12 hours of onset As per this question, patient presented late and hence we will treat with Aspirin to prevent future MI episode, Statin to stabilize the vulnerable plaques Morphine to calm the patient and reduce pulmonary edema. Condition ECG findings ECG findings of ischemia Tall wide (peaked)T wave T wave inversion ECG findings of injury ST elevation (Pardee sign) ECG findings of cell death Pathological Q wave